POEMS syndrome includes all except-
1. Polyneuropathy
2. Endocrinopathy
3. Ovarian dysgenesis
4. Monoclonal gammopathy

Correct answer: 3. Ovarian dysgenesis

Explanation: POEMS syndrome consists of polyneuropathy, organomegaly, endocrinopathy, multiple myeloma(monoclonal gammopathy)& skin changes.Reference :Harsh mohan textbook of pathology sixth edition pg no 383.